Amaurosis fugax is caused due to occlusion of
1. Posterior auricular artery
2. Retinal Artery
3. Ciliary artery
4. Vertebral artery

Correct answer: 2. Retinal Artery

Explanation: (B) Retinal Artery # Amaurosis fugax may present as a type of transient ischemic attack (TIA), during which an embolus unilaterally obstructs the lumen of the retinal artery or ophthalmic artery, causing a decrease in blood flow to the ipsilateral retina.> Most common source of these athero-emboli is an atherosclerotic carotid artery.> However, a severely atherosclerotic carotid artery may also cause amaurosis fugax due to its stenosis of blood flow, leading to ischemia when the retina is exposed to bright light.> "Unilateral visual loss in bright light may indicate ipsilateral carotid artery occlusive disease and may reflect the inability of borderline circulation to sustain the increased retinal metabolic activity associated with exposure to bright light."